Which of the following is usually bilateral carcinoma of breast?
1. Paget's disease
2. Ductal carcinoma
3. Lobular carcinoma
4. Medullary carcinoma

Correct answer: 3. Lobular carcinoma

Explanation: Lobular carcinoma usually presents as bilateral condition.